Painless effusion in joints in Congenital syphilis are called -
1. Clutton's joint
2. Charcot's joint
3. Barton's joint
4. Chronic, osteomyelitis

Correct answer: 1. Clutton's joint

Explanation: Symmetrical arthrosis especially involving knee joint.Painless effusions in joints in congenital syphils are cluttons joints IMAGES SHOWING SYPHILITC BONY LESION AND DEFORMITY REF : MAHESWARI 9TH ED